Rota virus causes -
1. Acute nonbacterial gasteroenteritis in adult
2. Infantile diarrhea
3. Teratogenic effects
4. Respiratory infection in immunocompromised

Correct answer: 2. Infantile diarrhea

Explanation: rota virus is the mos common causevof diatrheal disease in infants&children REF:ANATHANARAYANAN MICROBIOLOGY NINTH EDITION PAGE.561